A new born child has not passed meconium for 48 hours. What is the diagnostic procedure of choice?
1. USG
2. Contrast enema
3. CT
4. MRI

Correct answer: 2. Contrast enema

Explanation: Failure to pass meconium in the first 2 days of life (48 hours) is typically suggestive of a lower GI tract obstruction such as Hirschsprung's diseases, meconium plug syndrome or anorectal malformation. A contrast enema is the most suitable primary investigation to make the diagnosis, amongst the options provided.